Which of the following cannot be done by 3 years old child -
1. Draw a triangle
2. Draw a circle
3. Can arrange 9 cubes
4. Can go, up and down

Correct answer: 1. Draw a triangle

Explanation: Ans. is 'a' i.e., Draws a triangle o A child can draw a triangle by 5 years. o A child can draw a circle by 3 years. o A child can make a tower of 9 cubes by 30 months. o A child can go up and downstairs with one step at a time by 2 years. o A child can stand momentarily on one foot by 3 years